Mirena is a :
1. Used in abortions
2. Anti progesterone
3. Progesterone IUCD
4. Hormonal implant

Correct answer: 3. Progesterone IUCD

Explanation: LNG-IUS or Mirena It is a levanorgestrel releasing device It contains about 52 mg of levonorgestrel released at a rate approximately 20 microgram per day THE TEXTBOOK OF GYNAECOLOGY; SHEILA BALAKRISHNAN; SECOND EDITION; PAGE NO 379.